Pediculus humanus can transmitt -
1. Sleeping sickness
2. Plague
3. Chaga's disease
4. Relapsing fever

Correct answer: 4. Relapsing fever

Explanation: Ans. is 'd' i.e., Relapsing fever o Body louse (Pediculus. humanus var corporis) can transmit,a) Epidemic typhusb) Trench feverc) Relapsing feverd) Vogabond disease